Glyceraldehyde-3-phosphate dehydrogenase is inhibited by iodoacetate is an example of which type of enzyme inhibition?
1. Noncompetitive
2. Uncompetitive
3. Competitive
4. Allosteric

Correct answer: 1. Noncompetitive